In drowning, all of the following are seen EXCEPT:
1. Wet voluminous lung
2. Miosis
3. Fine foam at the mouth
4. Cutis anserina

Correct answer: 2. Miosis

Explanation: Ans. B i.e. Miosis In drowning, pupils are dilated